The most specific laboratory test to establish a diagnosis of acute pancreatitis is:
1. Serum amylase
2. Serum lipase
3. Serum Alkaline phosphatase
4. Serum Calcium

Correct answer: 2. Serum lipase

Explanation: Answer is B (Serum lipase) Serum lipase elevation is the most specific laboratory test for establishing a diagnosis of Acute Pancreatitis `A three fold elevated serum lipase value is usually diagnostic of acute pancreatitis' - Harrison Serum Lipase levels and serum amylase levels are both used to establish the diagnosis of acute pancreatitis An elevated serum Lipase level is more specific for pancreatitis than a serum amylase level because many other pathologic conditions may present with an elevated amylase level. Serum lipase is therefore the single best answer of choice.